Itch sensation from skin is carried by
1. A alpha
2. A gamma
3. C-nerve fibre
4. Central itch centre

Correct answer: 3. C-nerve fibre

Explanation: (C) C-nerve fibre # Itch Pathway: from Skin - C- Nerve Fibers - Dorsal Horn - Spinal Cord - Thlamus - Insula# Itch or Pruritus, is the major symptom in skin diseases with a variety of etiologies and pathophysiologies.> Significant progress has been achieved in understanding the pathophysiology of itch in the last 5 years.> Neurophysiological experiments in humans and animals have revealed that itch is carried by specific C nerve fibers.> Peripheral mediators other than histamine are involved in induction of itch.> Mast cell tryptase seems to be an important mediator in itch by its activation of proteinase activated receptor 2 in the sensory nerves.